False about PCOS
1. High FSH/LH ratio
2. Bilateral ovarian cyst
3. Hirsutism
4. Increased risk of diabetes melitus

Correct answer: 1. High FSH/LH ratio

Explanation: In PCOS, LH:FSH ratio is increased Shaw's Textbook of gynaecology,16th edition page no 432